Dietary fibres are rich in:
1. Collagen
2. Proteoglycan
3. Pectin
4. Starch

Correct answer: 3. Pectin

Explanation: Ans. C: Pectin Chemically, dietary fiber consists of non-starch polysaccharides such as arabinoxylans, cellulose and many other plant components such as dextrins, inulin, lignin, waxes, chitins, hemi-cellulose pectins, beta-glucans and oligosaccharides. It acts by changing the nature of the contents of the gastrointestinal tract, and by changing how other nutrients and chemicals are absorbed. Soluble fiber absorbs water to become a gelatinous, viscous substance and is fermented by bacteria in the digestive tract. Insoluble fiber has bulking action and is not fermented